Internucleosomal cleavage of DNA is characteristic of-
1. Reversible cell injury
2. Irreversible cell injury
3. Necrosis
4. Apoptosis

Correct answer: 4. Apoptosis

Explanation: Ans. is 'd' i.e., Apoptosiso In apoptosis first there is breakdown of DNA into large 50-300- kilobase pieces.o Subsequently these DNA pieces undergogo internucleosomal cleavage to yield oligonucleosomes in multiples of 180-200 base pairs.o These Oligonucleosomes fragments are visualized by agarose gel electrophoresis as DNA ladders. o The internucleosomal cleavage is brought about by Cal+ and Mg2+ dependent endonucleases. Note: Internucleosomal DNA cleavage is not specific for Apoptosis. (can be seen in necrosis too)